Ciliocytophthoria is seen in:
1. Kartagener
2. Situs inversus
3. Acute Respiratory infection
4. Cystic fibrosis

Correct answer: 3. Acute Respiratory infection

Explanation: Ans. (C) Acute Respiratory infection(Ref: Robbins and Cotran Pathologic Basis of Disease 10th ed; pg. 245)Ciliocytophthoria is seen in acute respiratory infection.Ciliocytophthoria (CCP) defines a degeneration of the ciliated cells sue to viral infection, which is seen in acute respiratory infection.